Cataract brunescens result due to deposition of:
1. Melanin
2. Copper
3. Iron
4. Silver

Correct answer: 1. Melanin

Explanation: Ans. Melanin